Furstenberg's test is seen positive in
1. Nasal Glioma
2. Nasalabial cyst
3. Encephalocoele
4. Nasal Bone fracture

Correct answer: 3. Encephalocoele